ANCA negative vasculitis amongst the following is
1. Wegner granulomatosis
2. Churg strauss syndrome
3. Polyarteritis nodosa
4. Microscopic polyangiitis

Correct answer: 3. Polyarteritis nodosa

Explanation: ANCA p-ANCA | MPO ANCA Churg strauss syndrome Microscopic polyangiitis c-ANCA | PR3 ANCA Wegener granulomatosis Polyarteritis nodosa: ANCA negative medium vessel vasculitis Deposition of Immune complex: Fibrinoid necrosis (Type 3 HSR) 30% of patient have history of Hep B infection HBsAg + anti-HBs ab. (complex). | Deposition in many organ Sparing of small vessel (LUNGS)